An eight year old boy presents with back pain and mild fever. His plain X-ray of the dorsolumbar spine reveals a solitary collapsed dorsal vertebra with preserved disc spaces. There was no associated soft tissue shadow. The most likely diagnosis is -
1. Ewing's sarcoma
2. Tuberculosis
3. Histiocytosis
4. Metastasis

Correct answer: 3. Histiocytosis

Explanation: Solitary collapsed vertebra (vertebra plana) with preserved disc spaces in a child suggests the diagnosis of Eosinophilic granuloma (a type of Histiocytosis).